Bacteria implicated in dental caries is:
1. Streptococcus mutans
2. Pneumococci
3. Streptococcus pyogenes
4. Staphylococcus aureus

Correct answer: 1. Streptococcus mutans

Explanation: S. mutans and Streptococcus sobrinus have a central role in the etiology of dental caries, because these can adhere to the enamel salivary pellicle and to other plaque bacteria.